An expectant mother feels quickening at:
1. 12-18 weeks
2. 16-20 weeks
3. 26 weeks
4. 24-28 weeks

Correct answer: 2. 16-20 weeks

Explanation: Ans. is b, i.e. 16-20 weeksRef. Dutta Obs 9/e, p 63: Reddy 27/e, p 434"Quickening (feeling of life) denotes the perception of active fetal movements by the women. It is usually felt about the 18th week Q, 2 weeks earlier in multiparae. Its appearance is a useful guide to calculate the expected date of delivery with reasonable accuracy" Ref. Dutta Obs, 9/e, p 63"Quickening is felt between 16th to 20th week Q" --Reddy 27/e, p 343PhenomenonTimePalpation of fetal part20 weeksActive fetal movement felt by placing a hand on abdomen20 weeksExternal ballottement20 weeksInternal ballottement16-28 weeksFHS audible by Stethoscope18-20 weeksFetal movement can be detected by Doppler10 weeksLightening38 weeks